In which pattern does inheritance of Dupuytren's contracture takes place?
1. X linked recessive
2. Autosomal recessive
3. Mitochondrial inheritance
4. Autosomal dominant

Correct answer: 4. Autosomal dominant

Explanation: Dupuytren's contracture is a condition characterized by a flexion deformity of one or more fingers, nodular hypertrophy and contracture of superficial palmar fascia (palmar aponeurosis). Dupuytren's contracture is inherited in an autosomal dominant pattern and is more common in males than females. The prevalence increases with age, but onset at early stage usually means aggressive disease. Ref: Maheshwari 3/e, Page 256-57; Apley's 8/e, Page 343-344.